All of the following are true about diffuse gastric cancer according to Lauren's classification except:
1. Familial
2. more common in males
3. undifferentiated
4. more common in the proximal part

Correct answer: 2. more common in males

Explanation: Lauren Classification System for carcinoma Intestinal Diffuse - Environmental - Gastric atrophy, intestinal metaplasia - Men > Women - Increasing incidence with age - Gland formation - Hematogenous spread - Microsatellite instability - APC gene mutations - p53, p16 inactivation - Epidemic - Distal part of the stomach - Familial - Blood group 'A' - Women > Men - Younger age group - Poorly differentiated signet ring cells - Transmural/ Lymphatic spread - Decreased E-cadherin - p53, p16 inactivation - Endemic - Proximal part of the stomach